Esotropia is commonly seen in which type of refractive error?
1. Myopia
2. Hypermetropia
3. Astigmatism
4. Presbyopia

Correct answer: 2. Hypermetropia

Explanation: These are generally more common in childhood and hyper- metropes. The continuous effort of accommodation in the hypermetrope to see clearly, even in the distance, stimulates convergence to a greater degree than is compatible with binocular fixation and results in esotropia.